Fordyce's spots:
1. Are seen before the rash in measles
2. Are premalignant lesions of buccal mucosa
3. Represent ectopic sebaceous glands and are normal variants
4. Are petechial haemorrhagic spots of buccal mucosa seen in thrombocytopenic purpura

Correct answer: 3. Represent ectopic sebaceous glands and are normal variants

Explanation: Fordyce's spots are yellowish-white granules in the buccal mucosa and represent enlarged ectopic sebaceous glands. It is a developmental anomaly. There is no malignant potential.